The change in color, shape and texture of gingiva are seen in?
1. stage 1 gingivitis
2. stage 2 gingivitis
3. stage 3 gingivitis
4. stage 4 gingivitis

Correct answer: 3. stage 3 gingivitis